Pisiform is which type of bone
1. Pneumatic bone
2. Sesamoid bone
3. Accessory bone
4. Long bone

Correct answer: 2. Sesamoid bone

Explanation: Pisiform is pea shaped and has only one oval facet on the proximal part of its dorsal surface. Pisiform articulates only with Triquetral . Its Ossification starts at 12 years of age . It is situated where the ulna joins the wrist, within the tendon of the flexor carpi ulnaris muscle. B D Chaurasia 7th edition Page no : 27,28,29